milk teeth - Total no. in a human being-
1. 20
2. 32
3. 28
4. 24

Correct answer: 1. 20